Post transplant lymphoma occurs due to proliferation of which of the following cells?
1. T cell
2. B cell
3. NK cell
4. Monocyte

Correct answer: 2. B cell

Explanation: Post transplant lymphoma (Post transplant Lymphoproliferative Disorder or PTLD) occurs due to proliferation of B cells